The size of periapical film used in adults is
1. 21 x 31 mm
2. 31 x 41 mm
3. 22 x 35 mm
4. None of the above

Correct answer: 2. 31 x 41 mm